Which of the following is aprepitant used for?
1. Chemotherapy induced emesis
2. Chemotherapy induced hair loss
3. Chemotherapy induced diarrhea
4. Chemotherapy induced weight loss

Correct answer: 1. Chemotherapy induced emesis

Explanation: Ans. is 'a' i.e., Chemotherapy induced emesis * Aprepitant is used for chemotherapy induced nausea & vomiting (CINV), and post- operative nausea & vomiting (PONV).* Aprepitant has been explained in previous sessions